Hydrops fetalis may be caused by the following except ?
1. Congenital heart block
2. Cystic hygroma
3. Congenital varicella syndrome
4. Congenital nephrosis

Correct answer: 3. Congenital varicella syndrome

Explanation: Hydrops fetalis (fetal hydrops) is defined as abnormal accumulation of fluid in 2 or more fetal compartments, including ascites, pleural effusion, pericardial effusion, and skin edema. Immune hydrops is caused by Rh isoimmunisation. Non immune hydrops is caused by fetal causes like cardiac defects either structural defects or arrhythmias or heart block, Chromosomal abnormalities, skeletal dysplasia and hematologic abnormalities, structural fetal defects such as diaphragmatic hernia, intestinal or esophageal atresias, polycystic kidneys, bronchopulmonary sequestration, and congenital cystic adenomatoid malformation, fetal tumors like neuroblastoma and sacrococcygeal teratoma, a number of genetic syndromes, metabolic disorders such as lysosomal storage diseases and others. Maternal causes include severe maternal anemia, diabetes and maternal indomethacin use. Placental/cord pathology include: chorioangioma, angiomyxoma of the cord, and chorionic vein thrombosis. Cystic hygroma is a malformation of the lymphatic system where there are fluid filled sacs in the posterior neck. Congenital varicella syndrome is characterised by skin scarring, malformed extremities, cataracts and brain abnormalities (aplasia, calcifications). Reference : page 215 Ghai Essential Pediatrics 8th edition and page 493-94 Textbook of Obstetrics Sheila Balakrishnan 2nd edition